Unequal eye power is known as –
1. Anisometropia
2. Emmetropia
3. Ametropia
4. Astigmatism

Correct answer: 1. Anisometropia